Hetch Giant cell pneumonia is caused by
1. Mumps virus
2. Rubella
3. Rubeola
4. Varicella

Correct answer: 3. Rubeola

Explanation: Hetch Giant cell pneumonia is caused by Rubeola or Measles virus.